Sustained severe hypertension in children is most commonly suggestive of -
1. Coarctation of aorta
2. Pheochromocytoma
3. Renal parenchymatous disease
4. Drug induced

Correct answer: 3. Renal parenchymatous disease

Explanation: Ans. is 'c' i.e., Renal Parenchymatous disease o Essential hypertension is relatively uncommon (10%) in children in contrast to aged persons, o The four most common causes of hypertension in children are:-i) Chronic glomerulonephritis (most common) - 25 %ii) Chronic pyelonephritis - 10%iii) Renal artery stenosis - 10%iv) Essential hypertension - 10 %